A sexually active, long distance truck driver's wife comes with vaginal discharge. Under Syndromic Approach, which drug should be given?
1. Metronidazole, Azithromycin, Fluconazole
2. Metronidazole
3. Azithromycin
4. Metronidazole and Fluconazole

Correct answer: 1. Metronidazole, Azithromycin, Fluconazole

Explanation: Metronidazole,azythromycin,fluconazole. It is syndromic management of vaginal discharge for symptomatic partner. Reference:Park's textbook of preventive and social medicine,K.Park,23rd edition,page no:334.